Delayed dentition is seen in ____________
1. Down syndrome
2. Congenital hypothyroidism
3. Rickets
4. All of the above

Correct answer: 4. All of the above

Explanation: .Abnormalities in tooth eruption (timing and sequence) is often caused by genetics and may result in malocclusion. In severe cases, such as in Down syndrome,congenital hypothyroidism & rickets , the eruption may be delayed by several years and some teeth may never erupt Reference: GHAI Essential pediatrics, 8th